You are examining a postoperative patient who believed to have lost 20% of his blood. What change if any would you expect in his BP and heart rate?
1. Heart rate increased, BP reduced
2. Heart rate increased, BP normal/unchanged
3. Heart rate normal/unchanged, BP reduced
4. Heart rate unchanged, BP unchanged

Correct answer: 2. Heart rate increased, BP normal/unchanged

Explanation: The change in BP and pulse rate in relation to % of blood loss is given below: Blood loss BP Heart rate <15% no change slight increase 15 - 30 % no change 100 - 120 30 - 40 % reduced >120, weak pulse >40% markedly reduced > 120, thready pulse Ref: Bailey, Edition 23, Page 235